False statement regarding DIC is:
1. Thrombocytopenia
2. Decreased fibrinogen
3. Decreased PTT
4. Increased PT

Correct answer: 3. Decreased PTT

Explanation: Answer is C (Decreased PTT) "TT is increased in DI DIC or Disseminated Intravascular Coagulation, is a complex thrombohaemorrhagic disorder characterized by the following sequence of events in general : Events Intravascular activation of coagulation by both intrinsic and extrinsic mechanism.deg A thrombotic phase Consumption phase, wherein most coagulation factors and platelets are consumed. Stage of secondary fibrinolysis, at site of intravascular coagulation. Laboratory findings are in accordance with the above pathogenic mechanisms : 1. Platelets count, coagulation factors and fibrinogen level: are decreased Q or 'consumed'. As a result of above: The bleeding time as well as the coagulation time both are prolonged 2 therefore - PTT: increased Q - PT: increased - Thrombin time : increased 2. Increased secondary fibrinolysis accounts for - raised plasmin levels 2 - raised levels of fibrin degradation product (FDP). 3. The thrombolic phase accounts for features of microangiopathic haemolytic anemia. - presence of schistiocytes, spherocytes, burr cells, halmet cells in the peripheral film. Some question asked: Most important treatment is : finding a reversible cause and treatment of the cause e Finding in DIC, that correlates best and most closely with bleeding is : fibrinogen level Most common site for thrombin formation in DIC is : Brain Q (Brain > heart > lung > kidney > adrenal > liver) DIC is related to 2 very important endocrine manifestations : a. Adrenals - Fredrich Hausen Syndrome. b. Pituitary - Sheehan's Syndrome.